Wernicke's hemianopic pupillary response is seen in lesions at -
1. Optic tract
2. Optic chiasma
3. Optic radiation
4. Lateral geniculate body

Correct answer: 1. Optic tract

Explanation: Wernicke's hemianopic pupil indicates lesion of optic tract. In this ipsilateral and contralateral light reflex is absent when light is thrown on the temporal half of the retina of the affected side and nasal half of the opposite side;while it is present when light is thrown on the nasal half of the affected side and temporal half of the opposite side. Reference : comprehensive textbool of ophthalmology by AK Khurana